Expanded Programme of Immunisation schedule includes all of the following vaccines, except for:
1. OPV
2. MMR
3. DPT
4. BCG

Correct answer: 2. MMR

Explanation: WHO launched a "Expanded Programme of Immunization" (EPI) in the year 1974. The principle of this programme was based on the fact that immunization is the most powerful and cost effective weapon to deal with vaccine preventable diseases. The preventable childhood diseases included among them are: i. Diphtheria ii. Pertusis iii. Tetanus iv. Polio v. Tuberculosis vi. Measles Thus MMR with vaccination against mumps, measles and rubella is not included in the EPI but instead only vaccine against measles is included. Ref: Park's Textbook of Preventive and Social Medicine 19th edition; pages 105 - 106; 363 - 364